Subcapsular sinus is seen in
1. Lymph node
2. Spleen
3. Thymus
4. None

Correct answer: 1. Lymph node

Explanation: Inderbir Singh's Human Histology Seventh edition Pg 131 Subcapsular sinus is one of the most important characteristic features of lymph nodes